What is the maximum dose of lignocaine which can be given with adrenaline for ocular blocks?
1. 2 mg/kg
2. 3 mg/kg
3. 5 mg/kg
4. 7mg/kg

Correct answer: 4. 7mg/kg

Explanation: In the injectable form, maximum dose of lignocaine which can be given alone is 5mg/kg. When combined with epinephrine 1: 200,000, maximum dose which can be used is 7mg/kg. Maximum dose of topical lidocaine is 4.5mg/kg upto 300mg.